The potential adverse effects of fluoroquinolones are all except:-
1. Abdominal discomfort
2. Dysglycemia
3. QT prolongation
4. Blindness

Correct answer: 4. Blindness

Explanation: Fluoroquinolones causes: GIT disorders like abdominal discomfort dysglycemia QT Prolongation neurological disorders like seizures and peripheral neuropathy but do not causes blindness.